Grattage test is used for -
1. Tinea capitis
2. Lichen planus
3. Pemphigus vulgaris
4. Psoriasis

Correct answer: 4. Psoriasis

Explanation: Ans. is 'd' i.e., Psoriasis Bedside tests for psoriasiso Two bedside tests can be done to confirm the clinical diagnosis of psoriasis : -Grattage testScraping the lesion with a glass slide causes accentuation of the silvery scales.Auspitz's SignScraping the lesion with glass slide causes accentuation os slivery scales (as in Grattage test). If scraping is continued further, a glistening white adherent membrane (Burkley's membrane) appears. On removing Burkley's membrane punctate (fine pinpoint) bleeding becomes visible, which is referred to as Auspitz's sign.